Lower limit of retropharyngeal space is at ?
1. C 7
2. Bifurcation of trachea
3. 4th esophageal constriction
4. None

Correct answer: 2. Bifurcation of trachea

Explanation: Ans. is'b'i.e., Bifurcation of tracheaRetropharyngeal space is divided into two lateral spaces (space of gillette) by a fibrous band.Retropharyngeal space is limited above by the base of skull and below where the alar fascia fuses with buccopharyngeal fascia at the level of T4 and carina (bifurcation of trachea).